Winging of scapula is due to damage of:
1. Axillary nerve
2. Long thoracic nerve
3. Median nerve
4. Ulnar nerve

Correct answer: 2. Long thoracic nerve

Explanation: Ans. B Long thoracic nerveRef: BDC, 6th ed. vol. I pg. 55-56; 3rd ed. Vol. I pg. 45-50; 180,181* Winging of scapula is due to damage of long thoracic nerve due to paralysis of serratus anterior muscle.* Serratus anterior helps in vertical overhead abduction (assisted by trapezius), forward punch (assisted by pectoralis minor) & forced inspiration.* Its paralysis leads to winging of scapula.* Nerve Supply of Serratus anterior- Long Thoracic Nerve (Nerve of Bell) (C5, C6, C7)* Action of Serratus anterior muscle# Rotates the scapula so that glenoid cavity is raised upward & forward- Helps in Vertical over head abduction (in this action assisted by Trapezius muscle).# Draws the scapula forward around the thoracic wall so paralysis leads to winging of scapula.# Also used when arm is pushed forward in horizontal position as in forward punch (helped by Pectoralis minor in this action).# Steadies the scapula during weight carrying.# Helps in forced inspiration (Accessory muscle of inspiration).# Because of greater pull exerted on the inferior angle, inferior angle passes laterally and forward and the glenoid cavity is raised upward & forward; in this action the muscle is assisted by trapezius.